Meibomian glands secrete which component of sweat-
1. Water {aqueous}
2. Mucin
3. Protein
4. Lipid

Correct answer: 4. Lipid

Explanation: Oily layer of tear film. Ref khurana 6th edition REF IMG